Barton's fracture is injury to ?
1. Fracture distal end humerus
2. Extra-articular fracture distal end radius
3. Intra-articular fracture distal end radius
4. Intra-articular fracture distal end radius with carpal bone subluxation

Correct answer: 4. Intra-articular fracture distal end radius with carpal bone subluxation

Explanation: Barton's fracture is an intra articular fracture of distal radius. Here fracture extends from articular surface of the radius to either its anterior or posterior cortices. The small distal fragments get displaced and carries with it the carpals.(carpal bone subluxation) 2 types of volar Bartons fracture and dorsal Bartons fracture. Treatment: closed manipulation and plaster cast. when closed reduction fails, internal fixation with plate may be required. Ref: Essential Orthopaedics, Maheswari & Mhaskar, 9th ed, Page no: 114